One of the following is not a Voluntary Health agency -
1. Family planning Association of India
2. Indian Council for child Welfare
3. Ford Foundation
4. National Institue of Nutrition

Correct answer: 4. National Institue of Nutrition

Explanation: Voluntary health agency may be defined as as an organization that is administered by an autonomous board which holds meetings ,collect funds for it's support chiefly from private sources and expends money,whether with or without paid workers in conducting a program directed primarily to furthering the public health by providing health services or health education or by advancing research or legislation for health or by a combination of these activities (refer pgno:915 park 23rd edition)